Occlusion occurs at 2nd part of axillary artery, blood flow is maintained by which of the following anastomosis
1. Suprascapular artery and post circumflex humeral artery
2. Anterior and posterior circumflex humeral artery
3. Circumflex scapular and posterior circumflex humeral artery
4. Anterior circumflex artery and subscapular artery

Correct answer: 1. Suprascapular artery and post circumflex humeral artery

Explanation: SCAPULAR ANASTOMOSIS It is required to supply upper limb when its arteries are blocked. Subclavian artery exits neck region by crossing outer border of 1st rib, enter axilla becomes axillary artery 3rd part of Axillary artery gives subscapular artery which anastomosis with Dorsal scapular artery, a branch of subclavian artery/sometimes given by deep branch of transverse cervical artery. 3rd part of Axillary artery gives Posterior circumflex humeral artery which goes to acromion process & anastomosis with suprascapular artery, which is a branch of subclavian artery. This suprascapular artery also anastomosis with circumflex scapular artery, which is a branch of subscapular A